Extremely low birth weight baby is less than -
1. 1 kg
2. 1.5 kg
3. 2 kg
4. 2.5 kg

Correct answer: 1. 1 kg

Explanation: Extremely low birth weight is birth weight less than 1kg Very low birth weight is birth weight less than1.5 kg Low birth weight is less than 2.5 kg Reference text book of obstetrics by Sheila Balakrishnan 2nd edition pg 548